All are true about Amoebiasis except?
1. Flask shaped ulcers
2. Disease affects caecum and ascending colon
3. Anchovy pus in liver
4. Coagulative necrosis

Correct answer: 4. Coagulative necrosis

Explanation: Ans. (d) Coagulative necrosisRef: Robbin's pathology 9th ed. /795-96* The typical flask shaped ulcer in amoebiasis is due to liquefactive necrosis affecting caecum and ascending colon and rectum.* Once the infection spreads hematogenously from the gut to the liver it results in generation of liver abscess which has presence of anchovy sauce pus.